A full thickness graft can be obtained from all of the following sites, EXCEPT:
1. Eyelids
2. Knee
3. Postauricular skin
4. Supraclavicular skin

Correct answer: 2. Knee

Explanation: Full-thickness skin grafts include the epidermis and all the dermis. They are the most aesthetically desirable of the free grafts because they include the highest number of skin appendage elements, undergo the least amount of contracture, and have a greater ability to withstand trauma. Areas of thin skin are the best donor sites for full-thickness grafts (eg, the eyelids and the skin of the postauricular, supraclavicular, antecubital, inguinal, and genital areas). In grafts thicker than approximately 0.015 inch, the results of transplantation are less reliable, except on the face, where vascularity is usually superior. Ref: Vasconez H.C., Habash A. (2010). Chapter 41. Plastic & Reconstructive Surgery. In G.M. Dohey (Ed), CURRENT Diagnosis & Treatment: Surgery, 13e.